Enchondroma commonly arises from-
1. Ribs
2. Phalanges
3. Vertebra
4. Tibia

Correct answer: 2. Phalanges

Explanation: The phalanges are digital bones in the hands and feet of most vertebrates.
In primates, the thumbs and big toes have two phalanges while the other digits have three phalanges.
The phalanges are classed as long bones.